All the following receptors belong to the steroid receptor superfamily, EXCEPT:
1. Thyroid receptor
2. Retinoid receptor
3. Vitamin D3 receptor
4. Epinephrine receptor

Correct answer: 4. Epinephrine receptor

Explanation: Adrenergic receptors (epinephrine and norepinephrine) are membrane bound G-protein coupled receptors and does not belong to steroid receptors. Adrenaline binds to cell membrane receptors alter intracellular cAMP concentration, alter protein kinase A and regulate cell function. Ref: Essentials of Medical Pharmacology By K D Tripathi, 5th Edition, Pages 213-4 ; Vitamins and Hormones By Gerald Litwack, Volume 55, Page 131